Which of the following is not a type of VDPV?
1. mVDPV
2. aVDPV
3. iVDPV
4. cVDPV

Correct answer: 1. mVDPV

Explanation: Vaccine derived polio virus ( VDPV) ard divided in to 3 categories. cVDPV- when evidence of person to person transmission exists in community. iVDPV- Immuno deficient associated VDPV, which are isolates from persons with primary immunodeficiency, who have prolonged VDPV infections. aVDPV- Ambiguous VDPV,which are either clinical isolates from person with no known immunodeficiency or sewage isolates whose source is unknown. Reference; Park's Textbook of preventive and social medicine, 24th edition.Pg, 219